The most sensitive cell cycle stage for radiotherapy is:
1. S phase
2. G1
3. G2
4. G2M

Correct answer: 4. G2M

Explanation: Ans. G2M